Outer epithelium of cornea is derived from:
1. Endoderm
2. Mesoderm
3. Surface ectoderm
4. Neural ectoderm

Correct answer: 3. Surface ectoderm

Explanation: Structures developing from Surface ectoderm- Conjunctival epithelium Corneal epithelium Lacrimal glands Tarsal glands Lens